Di Guglielmo's disease refers to which of the following conditions?
1. Megakaryoblastic leukemia
2. Erythroleukemia
3. Monocytic leukemia
4. Myelomonocytic leukemia

Correct answer: 2. Erythroleukemia

Explanation: According to the French-American-British (FAB) Classification of AML di Guglielmo's disease refers to M6 variety: Erythroleukemia. Ref:Harrisons Principles of Internal Medicine, 18th Edition, Page 906